Latency period in distraction osteosynthesis is defined as
1. Time period between surgical osteotomy and starting of distraction
2. Time period between starting of distraction to the completion of distraction
3. Time period for completion of distraction process
4. Time period between distraction and functional Loading of the area

Correct answer: 1. Time period between surgical osteotomy and starting of distraction